procoagulant not normally circulating in the plasma is :
1. Prothrombin
2. Fibrinogen
3. Antithemophilic factor
4. None of the above

Correct answer: 4. None of the above

Explanation: D i.e. None Plasma - is fluid portion of blood, containing an immense number of ions, inorganic molecules & organic molecules that are in transit to various part of the body . Serum - If whole blood is allowed to clot and the clot is removed , the remaining fluid is serum. - It has same composition as plasma except its fibrinogen, factor 2,5,& 8 have been removed - It has high serotonin content d/t breakdown of platelets during clotting.